Frish bacillus causes:
1. Rhinosleroma
2. Rhinosporidiosis
3. Rhinophyma
4. Lupus Vulgaris

Correct answer: 1. Rhinosleroma

Explanation: Rhinoscleroma is a chronic granulomatous disease caused by Gran negative bacillus called klebsiella rhinoscleromates or frisch bacillus. Ref Dhingra 6/e,p 156.